Which one of the following is present intracellularly in muscle cells?
1. Insulin
2. Corticosteroid
3. Epinephrine
4. Glucagon

Correct answer: 2. Corticosteroid

Explanation: Glucocorticoids (GCs) exert key metabolic influences on skeletal muscle.GCs increase protein degradation and decrease protein synthesis.The released amino acids are mobilized from skeletal muscle to liver, where they serve as substrates for hepatic gluconeogenesisRef: DM Vasudevan, 7th edition, page no: 664, 665